Typhoid ulcer is -
1. Ulceration of the Peyer's patch
2. Longitudinal ulcer
3. May perforate
4. All of the above

Correct answer: 4. All of the above

Explanation: All of the above